A very preterm baby on 30mL/kg of enteral feeding, using an infant feeding formula, developed sudden severe abdominal distension with visible bowel loops on day 6 of life. The baby also showed temperature instability and lethargy. X-ray of the abdomen showed portal venous gas. The staging of NEC is?
1. I b
2. 2a
3. 2b
4. 3a

Correct answer: 3. 2b

Explanation: The given clinical scenario indicates a diagnosis of NEC. Salient clinical features helping to identify the stage of NEC are: Stage Feature 1a - Occult blood positive in stool 1b - Fresh blood in stool 2a - Abd X ray shows 'pneumatosis intestinalis' 2b- X ray shows Portal venous gas 3a - Peritonitis 3b - Pneumoperitoneum